"Eggs on side appearance" is seen in
1. Fallot's tetralogy
2. Transposition of great vessels
3. Ebtein's anomaly
4. Ventricular septal defect

Correct answer: 2. Transposition of great vessels

Explanation: In TGA cardiac silhouette have an "egg on side " appearence. Ref : Ghai essential of pediatrics, eighth edition, p.no:425